Anthropometric assessment, which does not show much change in 1-4 years -
1. Mid arm circumference
2. Skin fold thickness
3. Chest circumference : Head circumference ratio
4. Height

Correct answer: 1. Mid arm circumference

Explanation: Ans. is 'a' i.e., Mid arm circumference o During 1-5 years of age, the mid-upper arm circumference (MUAC) remains reasonably static between 15-17 cm among healthy chidren because fat of early infancy is gradually replaced by muscles.